Contributory negligence is a defense in:
1. Civil negligence
2. Criminal negligence
3. Corporate negligence
4. Composite negligence

Correct answer: 1. Civil negligence

Explanation: Ans. Civil negligence